Hypocalcemia results in:
1. Absent tendon reflexes
2. Shortened QT interval in ECG
3. Reduced excitability of nerves and muscle cells
4. Tetany

Correct answer: 4. Tetany

Explanation: Ans. D: TetanyFeatures of hypocalcemia:Petechia which appear as one-off spots, then later become rashes.Perioral tingling and paraesthesia, 'pins and needles' sensation over the extremities of hands and feet. This is the earliest symptom of hypocalcaemia.Tetany, carpopedal spasm are seen.Trousseau sign of latent tetany (eliciting carpal spasm by inflating the blood pressure cuff and maintaining the cuff pressure above systolic)Chvostek's sign (tapping of the inferior portion of the zygoma will produce facial spasms)Tendon reflexes are hyperactiveLife threatening complications- Laryngospasm- Cardiac arrythmiasECG changes include:- Prolonged QT interval- Prolonged ST interval